ELISA test when compared to western blot technique is
1. Less sensitive, less Specific
2. More sensitive, More specific
3. Less sensitive, more specific
4. More sensitive, less Specific

Correct answer: 4. More sensitive, less Specific